All of the following are Extrinsic Laryngeal Membranes/Ligaments, EXCEPT:
1. Hyoepiglottic
2. Cricothyroid
3. Cricotracheal
4. Thyrohyoid

Correct answer: 2. Cricothyroid

Explanation: Laryngeal cartilages like the Thyroid cartilage and Cricoid cartilage are connected to each other by the Cricothyroid ligament/membrane. The cricovocal membrane connects the thyroid, cricoid and arytenoid cartilages. Cricothyroid ligament/membrane is classified as an Intrinsic Laryngeal Membrane/Ligament Cricothyroid ligament/membrane connects two laryngeal cartilages (thyroid cartilage and cricoid cartilage) with each other and hence is classified as an Intrinsic Laryngeal membrane/ligament. Ref: Otorhinolaryngology Head and Neck Surgery By Matti Aniko, Manuel Bernal, Page 465, 466; Gray's Anatomy, 38th Edition, Page 1642.